Re-etching saliva contaminated etched enamel should be done for
1. 30 seconds
2. 20 seconds
3. 10 seconds
4. 5 seconds

Correct answer: 3. 10 seconds